Newborn chest X-ray with respiratory distress shows multiple air containing lesions in left hemithorax and mediastinal shift is suggestive of:
1. Neonatal emphysema
2. Diaphragmatic hania
3. Pneumatoceles
4. Congenital lung cysts

Correct answer: 2. Diaphragmatic hania

Explanation: Ans. Diaphragmatic hania